The progestogen with the greatest haemostatic effect used in dysfunctional uterine bleeding (DUB) is :
1. Medroxy progesterone
2. Hydroxy progesterone
3. Norethisterone
4. Dydrogesterone

Correct answer: 3. Norethisterone

Explanation: Norethisterone